True statement about Green stick impression compound is
1. Its melting point is 50 degree Celsius to 51.1 degree Celsius.
2. It’s a type 1 impression compound
3. It is a higher fusing material also called as tray compound
4. Both 1st and 2nd statements are true.

Correct answer: 4. Both 1st and 2nd statements are true.